Priapism occurs in -
1. Snakebite
2. Ratti poisoning
3. Cantharide poisoning
4. Arsenic poisoning

Correct answer: 3. Cantharide poisoning

Explanation: Priapism is a medical condition in which the erect penis does not return to its flaccid state, despite the absence of both physical and psychological stimulation, within four hours. Priapism is potentially painful and is considered a medical emergency, which should receive proper treatment by a qualified medical practitioner. REF;THE SYNOPSIS OF FORENSIC MEDICINE:KS NARAYANA REDDY;28th EDITION;